37 weeks primi with uterine contraction for 10 hours, cervix is 1 cms dilated and poorly effaced. Management is
1. Cesarean section
2. Amniotomy
3. Oxytocin drip
4. Sedation and wait

Correct answer: 4. Sedation and wait

Explanation: The patient is presenting at 37 weeks with mild labor pains for 10 hours. Cervix is 1 cms dilated and is not effaced. Now this can either be a case of false labor pains or it can be prolonged latent phase of labor.
Lack of progress during the latent phase is defined as lack of change or minimal change in cervical effacement and dilatation during a 2 hour period in a woman having regular uterine contractions.
The patient in the question has been having mild labor pains for 10 hours with no change in cervical dilatation and effacement. But again the question does not specify whether she is having regular uterine contractions or not.

False labor can be differentiated from latent phase of labor by therapetuic rest i.e., patient is sedated with morphine.